Nerve damaged in fracture neck fibula
1. Superficial peroneal
2. Deep peroneal
3. Common peroneal
4. Tibial

Correct answer: 3. Common peroneal

Explanation: Common peroneal / fibular nerve injury: 1. The common fibular nerve is susceptible to injury as it passes around the lateral aspect of the neck of the fibula. 2. It can be result of direct trauma. Secondary to knee injury or as a consequence of proximal fibular fracture, sometimes can be iatrogenic (Ex. Arthroscopy) 3. Symptoms of CPN injury. Foot drop Loss of sensation over the lateral aspect of leg & dorsum of foot Wasting of fibular & anterior Tibial muscle.